Which is least likely to be elevated in patients with a pheochromocytoma?
1. Systemic arterial diastolic pressure
2. Systemic arterial systolic pressure
3. Serum norepinephrine
4. Intravascular volume

Correct answer: 4. Intravascular volume

Explanation: Pheochromocytoma is producing Nor epinephrine & Epinephrine which increases the systolic and diastolic pressure. * Also Nor epinephrine would be higher D/T extreme vasoconstriction the intravascular volume of the patient will be significantly reduced and not elevated.